Why is the blind spot on the retina not usually perceived?
1. It is very small, below the ability of the sensory cells to detect
2. It is present only in very young children
3. Its location in the visual field is different in each eye
4. Constant eye motion prevents the spot from remaining still

Correct answer: 3. Its location in the visual field is different in each eye

Explanation: Ans. C. Its location in the visual field is different in each eyeRods and cones are absent from the area of the retina where the optic nerve exits. The blind spot is of appreciable size, but because its location is off-center and the eyeballs are mirror images, each eye fills in the information missing from the other, even when the gaze is fixed at a point. There are no connections from lateral cells to the blind spot because nerves are exiting there and do not make synapses.